Arrange following structures as pierced by spinal needle during spinal block (from outside to inside) i) Interspinous ligaments ii) Ligamentum flavum iii) Supra spinous ligament iv) Epidural space
1. (i), (ii), (iii), (iv)
2. (ii), (iv), (i), (iii)
3. (iii), (i), (ii), (iv)
4. (ii), (iii), (i), (iv)

Correct answer: 3. (iii), (i), (ii), (iv)

Explanation: Structures as pierced by spinal needle during spinal block (from outside to inside): iii)Supra spinous ligament i) Interspinous ligaments ii) Ligamentum flavum iv) Epidural space